Soil acts as a source as well as reservoir for
1. Rabies
2. Tetanus
3. Typhoid
4. Measles

Correct answer: 2. Tetanus

Explanation: Natural habitat of Clostridium Tetani is soil and dust. The bacilli are found in the intestine of many herbivorous animal eg cattle, horses, goats and sheep Ref: 25th edition, Park's Textbook of Preventive and Social Medicine, Page no. 339